Prevalance is given by which study?
1. Case-control study
2. Cohort study
3. Cross-sectional study
4. Correlation study

Correct answer: 3. Cross-sectional study

Explanation: Ans. is 'c' i.e., Cross-sectional study CharacteristicsCohort StudyCase control StudyCross Sectional StudyDesignProspectiveRetrospectiveOne point in timeIncidenceEstimatedNot estimatedNot estimatedPrevalenceNot estimatedNot estimatedEstimatedCalculationso Incidence rateso Relative risko Attributable risko Odds ratio